The following is the first sign that appeared in shock:
1. Hypotension
2. Tachycardia
3. Hypertension
4. Syncope

Correct answer: 2. Tachycardia